Plasma thromboplastin antecedent is:
1. Anti hemophilic — A factor
2. Anti hemophilic — B factor
3. Anti hemophilic —C factor
4. Anti hemophilic — F factor

Correct answer: 3. Anti hemophilic —C factor